Not true about angioneurotic edema?
1. Pitting edema of face, lips and mucous membrane D
2. C1 Esterase inhibitor deficiency can cause it
3. Extreme temperature exposure can provoke it
4. Known with ACE inhibitors.

Correct answer: 1. Pitting edema of face, lips and mucous membrane D

Explanation: A i.e. Pitting edema of face, lips and mucous membrane